Melanin is derived from which amino acid?
1. Tyrosine
2. Tryptophan
3. Phenylalanine
4. Alanine

Correct answer: 1. Tyrosine

Explanation: Melanin is synthesized from tyrosine by following pathway. Melanin is synthesized from tyrosine by following pathway It occurs in melanosomes present in melanocytes of skin and hair Uses of tyrosine: Option B: Tryptophan forms niacin (Vit B3), serotonin and melatonin. Extra Information: Albinism - Absence of pigment from skin, hair and eyes. Defect is in enzyme Tyrosinase. Patients also have vision defects and photophobia. This is also called oculo-cutaneous albinism. Vitiligo: Lack of melanoblast in some regional areas, but enzyme Tyrosinase is normal